Baby born prematurely at 29 wks, on examinationat 42wks with ROP both eyes shows stage 2 zone 1 'plus' disease, how will u manage the patient?
1. Examine the patient after 1 week
2. Laser photocoagulation of both eyes
3. Laser photocoagulation of worse eye, follow up of other eye
4. Vitreoretinal surgery

Correct answer: 2. Laser photocoagulation of both eyes

Explanation: Examination of both eyes is important. Treatment options include laser therapy or cryotherapy.:ETROP group has recommended use of laser over the cryotherapy. Laser treatment. Laser photocoagulation using diode laser 810 nm or frequency doubled Nd: YAG (532 nm) with LIO (laser indirect ophthalmoscope) delivery should be carried out in all patients with high-risk pre-threshold, threshold, and aggressive posterior ROP. Post-laser treatment and follow-up. Antibiotic and steroid eye drops should be prescribed for a week. Post-laser treatment follow-up should be done weekly for 3 weeks and if required retreatment should be done. Subsequent follow-up examination should be continued at 3, 6 and 12 weeks after treatment. Long-term follow-up is must for timely management of complications if any. Ref AK khurana 6/e 285